What is Acculturation -
1. Uncultured
2. Culture contact
3. Change fro one culture to another
4. None

Correct answer: 2. Culture contact

Explanation: Acculturation means culture contact when there is contact between two people with different types of culture, there is diffussion of culture both ways the ways by which culture contact takes place 1. trade and commerce 2. industrialization 3.conquest 4.education 5.propagation of religion ref ;(page no;672)23rd edition of PARK's textbook of Preventive and Social medicine